VIII cranial nerve affects
1. Taste
2. Equilibrium
3. Touch
4. Smell

Correct answer: 2. Equilibrium

Explanation: The vestibulocochlear nerve consists of two divisions: cochlear and vestibular.Cochlear nerve innervate the organ of Corti and is associated with hearingVestibular nerve innervates the vestibular receptors in the semicircular ducts(kinetic balance) and in the utricle and saccule(for static balance) in the ear.(Ref: Vishram Singh textbook of clinical neuroanatomy second edition pg- 103)